Egg is a poor source of
1. Vitamin A
2. Vitamin B12
3. Vitamin C
4. Vitamin E

Correct answer: 3. Vitamin C

Explanation: Egg is a poor source of Vitamin C and carbohydrates.